Exercise is also prescribed as an adjuvant treatment of depression. Most probably it acts by:
1. Increasing pulse pressure
2. Improving hemodynamics
3. Raising endorphin levels
4. Inducing good sleep

Correct answer: 3. Raising endorphin levels

Explanation: Ans. (c) Raising endorphin levels(Ref: Guyton, 13th ed/p.1086)Exercise can help relieve symptoms of depression by raising endorphin levels